Tinea Incognito is
1. Itchy skin lesion whose causative organism is not known
2. Tinea infection on back
3. Tinea infection seen after corticosteroid treatment
4. Tinea infection of nailbed.

Correct answer: 3. Tinea infection seen after corticosteroid treatment

Explanation: Tinea incognito is atypical tinea caused by incorrect treatment of lesions with topical corticosteroids, where the lesions are asymptomatic, extensive and does not have scales.